Which of the following is a sterilizing agent?
1. Diethyl ether
2. Ethylene oxide
3. Chlorhexidine
4. Ethyl alcohol

Correct answer: 2. Ethylene oxide

Explanation: Ethylene oxide (ETO) is a sterilizing agent, Chlorhexidine and ethyl alcohol are disinfectant Sterilisation - Removal of all living microbes including spores from an object. Disinfection - Removal of all pathogenic microbes from the surface of an object Antisepsis - Removal of pathogenic microbes from the skin and mucous membrane Ref : Ananthanarayana textbook of Microbiology 9th edition Pgno : 33